DOC for myoclonic seizure is :
1. Phenobarbitone
2. Ethosuximide
3. Lamotrigine
4. Valproic acid

Correct answer: 4. Valproic acid